Lewis triple response is caused due to:
1. Histamine
2. Axon reflex
3. Injury to endothelium
4. Increased permeability

Correct answer: 1. Histamine

Explanation: Lewis triple response is caused due to Histamine When histamine is injected intradermally it causes the triple response consisting of: Red spot: Due to capillary dilatation. Wheal: Due to exudation of fluid from capillaries and venules. Flare: Redness in the surrounding area due to arteriolar dilation mediated by axon reflex. A, 'Triple response' elicited by firm stroking of skin of forearm with a pencil. B, Diagrammatic view of microscopic features of triple response of the skin